Which if the statements is false regarding bleaching powder?
1. 1-3% of bleach can kill most organisms
2. Contains 60% available chlorine
3. Sodium hypochlorite is a versatile disinfectant
4. Lime is used as a stabilizing agent

Correct answer: 2. Contains 60% available chlorine

Explanation: Bleaching powder contains 33% available chlorine. 1-3% kills most of the organism. Bleach, particularly sodium hypochlorite, has been shown to react with a microbe's heat shock proteins, stimulating their role as intra-cellular chaperone and causing the bacteria to form into clumps that will eventually die off. In some cases, bleach's base acidity compromises a bacterium's lipid membrane, a reaction similar to popping a balloon. The range of micro-organisms effectively killed by bleach (particularly sodium hypochlorite) is extensive, making it an extremely versatile disinfectant.